A buccal canine retractor is better than a palatial canine
retractor when
1. The maxillary canine is distally placed
2. The maxillary canine is partially impacted
3. The maxillary canine distally placed and rotated
4. The maxillary canine is buccally placed

Correct answer: 4. The maxillary canine is buccally placed